Cellular immunity is induced by-
1. NK-cells
2. Dendritic-cells
3. TH1-cells
4. TH2-cells

Correct answer: 3. TH1-cells

Explanation: Cell mediated immunity (cellular immunity) is induced by TH-1 cells.